Which of the following disorders is more common in females?
1. Eating disorders
2. ADHD
3. Autism
4. Conduct disorder

Correct answer: 1. Eating disorders

Explanation: Eating disorders are more common in females. Autism, attention deficit hyperactivity disorder and conduct disorder are more commonly seen in males Autism spectrum disorders are 4 times more often in boys than in girls ADHD is more prevalent in boys than in girls, with ratio ranging from 2:1 to 9:1 Ratio of conduct disorder in males compared to females ranges from 4:1 to 12:1